Wheat is deficient in which of the following amino acid
1. Methionine and Lysine
2. Lysine and threonine
3. Threonine  and Methionine
4. Arginine and Lysine

Correct answer: 2. Lysine and threonine

Explanation: Cereals deficient in Lysine & threonine.
Pulses deficient in Methionine & cyteine.
Maize deficient in tryptophan & Lysine.